Following statement is true concerning Galactorrhea except:-
1. Serum prolactin (PRL) is usually above 25-30 ng/ml
2. Prolactin is the most important hormone involved in pathophysiology of Amenorrhoea-Galactorrhea syndrome
3. Associated with menstrual disturbances & infertility
4. Amenorrhea with hyperprolactinemia always accompanies Galactorrhea

Correct answer: 4. Amenorrhea with hyperprolactinemia always accompanies Galactorrhea

Explanation: All the patients with Hyperprolactinemia do not present with Galactorrhoea Elevations in prolactin may cause Amenorrhea or Galactorrhea or both Normal Prolactin levels Males: 2-20 ng/mL Females (non-pregnant): 2-30 ng/mL Pregnant females: 10-200 ng/mL Galactorrhea , secondary to hyperprolactinemia, is associated with Amenorrhoea, Oligomenorrhoea and Infertility Drug of choice for Hyperprolactinemia is Cabergoline Drugs known to cause galactorrhea Methyldopa, reserpine amphetamine metoclopramide phenothiazines tricyclic antidepressants butyrophenones